High resolution is obtained with:
1. Intraoral films with direct exposure
2. Extraoral films with intensifying screen
3. OPG
4. All of the above

Correct answer: 1. Intraoral films with direct exposure

Explanation: Intraoral dental X-ray film is made as a double-emulsion film—that is, both sides of the base are coated with an emulsion. With a double layer of emulsion, less radiation is required to produce an image.  Direct exposure film is used for intraoral examinations, because it provides higher resolution images than screen-film combinations. Some diagnostic tasks, such as detection of incipient caries or early periapical disease, require this higher resolution.
Reference: White and Pharoah's Oral Radiology Principles and Interpretation 7th edition page no 64